Psammoma bodies seen in A/E
1. Follicular CA of thyroid
2. Papillary CA of thyroid
3. Serous cystadenocarcinoma of ovary
4. Meningioma

Correct answer: 1. Follicular CA of thyroid

Explanation: Psammoma bodies are small, concentric , spherules of calcification, also called calcospherites, seen in Papillary carcinoma thyroid, Meningioma and Papillary serous cystadenocarcinoma of the ovary. Reference : page 52 Textbook of pathology Harshmohan 6th edition